Which of the following is not a pa of left mediastinal border on a PA chest radiograph?
1. Aoic arch
2. Pulmonary trunk
3. Left ventricle
4. SVC

Correct answer: 4. SVC

Explanation: - The Left Hea Border on CXR is formed by Aoic Knuckle, Pulmonary aery, Left Auricle, and Left Ventricle. - The Right Hea Border on CXR is formed by Superior Vena cava, Rt Atrium and Inferior Venacava.